A 31-year-old female presents to the department of surgery with a complaint of Bell's palsy, which had appeared a year earlier and had resulted in paralysis of muscles of one side of her face. The chief of plastic surgery recommends a nerve graft, taking a cutaneous nerve from the lower limb to replace the defective facial nerve. The surgery is successful. Six months after the procedure, there is restoration of function of previously paralyzed facial muscles. There is an area of skin on the back of the leg laterally and also on the lateral side of the foot that has no sensation. What nerve was used in the grafting procedure?
1. Superficial fibular (peroneal)
2. Tibial
3. Common fibular (peroneal)
4. Sural

Correct answer: 4. Sural

Explanation: The sural nerve is formed by contributions from the tibial nerve and a branch from the common fibular (peroneal) nerve. It provides sensation for the lower lateral portion of the calf and continues beneath the lateral malleolus as the lateral cutaneous nerve of the foot. It is often used for nerve grafting procedures as well as biopsied for diagnostic purposes. When it is grafted to the "living end" of a cut motor or sensory nerve, the severed nerve processes within the "living" nerve grow into the sural nerve sheath, using it as a guide to the distal, surgically anastomosed nerve. Thus, axons from a branch of a functional motor nerve can grow to reinnervate paralyzed muscles. In this case, the surgeon would connect portions of the sural nerve to the functional facial nerve, tunnel it to the opposite side of the face, and join it surgically to the branches of the paralyzed nerve, where it would grow through the now-empty nerve sheaths (due to Wallerian degeneration) to the muscles. Growth and reinnervation usually occur at a rate of 1mm/day (or 1inch/month) so the time estimated before reinnervation is based on the distance the regenerating fibers need to traverse. The tibial nerve supplies muscles and sensation to the calf and plantar surface of the foot. The common fibular (peroneal) nerve innervates the lateral and anterior compartment muscles and sensation to the dorsum of the foot. The saphenous nerve accompanies the great saphenous vein on the medial side of the leg and foot.